Psychrometer is used to measure:
1. Humidity
2. Air velocity
3. Air temperature
4. Radiant heat

Correct answer: 1. Humidity

Explanation: AIR HUMIDITY Air humidity is moisture content of air Air humidity can be measured by: Dry and wet bulb thermometer Hygrometer- most widely used. Sling/ whirling psychrometer Assman psychrometer Assman psychrometer Air temperature: Six's maximum-minimum thermometer measures maximum & minimum air temperatures reached over a period of time.